A patient presented with vomiting to medicine OPD. He has a history of eating fried rice. What is the most likely organism causing this?
1. Staphylococcus aureus
2. Bacillus cereus
3. Vibrio cholerae
4. Salmonella

Correct answer: 2. Bacillus cereus

Explanation: Food poisoning after eating fried rice is due to Bacillus cereus. Reference: Ananthanarayan and Paniker's Textbook of Microbiology Tenth edition